Retinoblastoma is bilateral in
1. 100 % of cases
2. 1 % of cases
3. 50 % of cases
4. 30 % of cases

Correct answer: 4. 30 % of cases

Explanation: Retinoblastoma: It is a malignant glioma of the retina, usually unilateral, that occurs in young children and usually is hereditary. In about 30 % of patients retinoblastoma is bilateral. The initial diagnostic finding is usually a yellow or white light reflex seen at the pupil (cat's eye reflex).